Blood culture is positive in which infection of staph. aureus-
1. TSS
2. SSSS
3. Infective endocarditis
4. Impetigo

Correct answer: 3. Infective endocarditis

Explanation: Blood culture is positive when bacteria present in blood, i.e. when there is bacteremia.
Infective endocarditis is a complication of staphylococcal aureus bacteremia (SAB). Thus blood culture may be positive.
Staphylococcal scalded skin syndrome (SSSS) and impetigo do not have bacteremia.
In toxic shock syndrome (TSS) due to staphylococcus aureus, bacteremia is uncommon (in contrast, bacteremia is common in streptococcal TSS).